Subacute sclerosing panencephalitis is a late neurological complication associated with infection due to:
1. Measles virus
2. Mumps virus
3. Rubella virus
4. Parainfluenza virus

Correct answer: 1. Measles virus

Explanation: a. Measles virus(Ref: Nelson's 20/e p 1542-1547', Ghai 8/e p 213-214)Subacute sclerosing panencephalitis (SSPE) is a chronic complication of measles with a delayed onset & fatal outcome.